Which vein does NOT drain into internal jugular vein?
1. Lingual vein
2. Facial vein
3. Superior thyroid vein
4. Retromandibular vein

Correct answer: 4. Retromandibular vein

Explanation: The tributaries of internal jugular vein are inferior petrosal vein, pharyngeal veins, common facial vein, lingual vein, superior thyroid vein, middle thyroid vein, and occasionally occipital vein. The retromandibular vein divides into anterior and posterior divisions. The posterior division joins with the posterior auricular vein to form the external jugular vein. The anterior division joins the facial vein to form the common facial vein. Reference: Textbook of anatomy, head neck and brainVishram Singh, 2nd edition, page no.60,245